Which of the following drugs does not cross placenta ?
1. Heparin
2. Warfarin
3. Dicoumarol
4. Nicoumalone

Correct answer: 1. Heparin